Which is a "Soft steroid" used in bronchial asthma
1. Budesonide
2. Dexamethasone
3. Ciclesonide
4. Flunisolide

Correct answer: 3. Ciclesonide

Explanation: Ciclesonide has got high topical: systemic activity ratio.Soft steroid is the one that gets metabolized in lungs and has less systemic side effects.